Not a cause of Roth spots?
1. Leukemia
2. Severe anemia
3. SLE
4. Hypersensitivity pneumonitis

Correct answer: 4. Hypersensitivity pneumonitis

Explanation: Roth spots Round retinal hemorrhages with white centers Seen in : Infective endocarditis SLE Serum sickness Polyarteritis nodosa Severe anemia Leukemia Prolonged anesthesia